All the following can cause mouth ulcers except ?
1. Sickle cell anemia
2. Lichen planus
3. Mouth washes
4. Psoriasis

Correct answer: 4. Psoriasis

Explanation: Ans. is 'd' i.e., Psoriasis(lRef Dhingra &/e p. 217)